Which of the following is not true about Epidural anaesthesia in pregnancy?
1. Given through Epidural space
2. Increased cardiac output
3. Decreased venous retutn
4. Hypotension

Correct answer: 2. Increased cardiac output

Explanation: In epidural anaesthesia, the anesthetic drug is injected in epidural space. CVS changes that occur in epidural anaesthesia are vasodilation which leads to peripheral pooling of blood, reduced venous return, reduced cardiac output and hypotension.